Drumstick is found in:
1. Neutrophils
2. Lymphocytes
3. Monocytes
4. Platelets

Correct answer: 1. Neutrophils